Hounsfield units depends on -
1. Electron density
2. Mass density
3. Effective atomic number
4. Attenuation coefficient

Correct answer: 4. Attenuation coefficient

Explanation: Hounsfield units are used to measure the X ray attenuation in CT scan. Depends on absorption/attenuation coefficient. Water is assigned a HU value of 0.